Using neem stick is an example of
1. Appropriate Technology
2. Equitable Distribution
3. Community Participation
4. Inter-Sectoral Coordination

Correct answer: 1. Appropriate Technology